Following are contraindications to External Cephalic Version EXCEPT:
1. Contracted pelvis
2. Antepartum hemorrhage
3. Multiple pregnancy
4. Hydramnios

Correct answer: 4. Hydramnios

Explanation: Ans-D HydramniosRef :D. C Dutta 7th ed.l 379-380 and 583* Its asking here about condition where ECV can be performed.* Hydramnios always helps in bringing the favorable cephalic pole in the lower pole of the uterus.* Please refer to the previous Explanation.